All are associated with pituitary apoplexy except-
1. Hyperthyroidism
2. Diabetes mellitus
3. Sickle cell anemia
4. Hypertension

Correct answer: 1. Hyperthyroidism

Explanation: Pituitary apoplexy is a medical emergebct. It is caused by either a bleed into and/or death of an area of tissue in the pituitary gland. It is usually associated with the presence of a pituitary tumour. Pituitary apoplexy can be caused by bleeding into the pituitary or by blocked blood flow to the pituitary. Apoplexy means bleeding into an organ or loss of blood flow to an organ. Pituitary apoplexy is commonly caused by bleeding inside a noncancerous (benign) tumor of the pituitary. Risk factors for pitutary apolexy Ref - pubmed.com ,